Operant condition where paradigm pain stimulus are given to a child for decreasing a certain undesired behaviour can be classified as:
1. Positive Reinforcement
2. Negative reinforcement
3. Punishment
4. Negotiation

Correct answer: 3. Punishment

Explanation: C i.e. Punishment Operant conditioning (learning) procedures of behaviour therapy to change maladaptive behaviour use response as reinforcerQ. In punishment (operant conditioned-behaviour therapy) aversive (pain) response/stimulus is given for decreasing undesired behaviourQ whereas, in positive reinforcement desirable behaviour is followed by reward (eg material, praise or token economy) and in negative reinforcement punishment is avoided on performance of desirable act to strengthen it Many of bad day to day habbits can be removed by negative conditioning (contingency managment)Q Operant Conditioning procedures used in Behaviour Therapy For increasing adaptive behaviour For decreasing maladaptive behaviour * Positive Reinforement * Time-out/Frustative (Reward): Non reward (Taking away - Desirable (good/adaptive) positive stimulus) behaviour is followed by - Positive reinforcement reward (material or symbolic) eg (reward) is withdrawn for token economy sometime on undesired bad - Eg. If a child is reward (by response anything he likes) for - If an expected reward is taken completing his homework. This away after bad behaviour will increase the likhood that (such as abusing) this will the desired response (of decrease the likelihood that the completing homework) will response will happen again. increase in frequency * Punishment (Aversion * Negative Reinforcements therapy)/ Adding negative (Removal of unplecant stimulus stimulus) - Aversive (noxious) stumuli or - Desirable behaviour is followed punishment is presented by avioidance of punishment immediately after a undesired - Eg. If a child expecting or (bad) behaviour. In other carrying out an unpleasant task words pairing of plesant (such as cleaning out their stimulus (eg alcohol) with an room) is offered relaxatation unpleasant response eg electric (such as parents offer to do shock, drugs (disulfiram or cleaning for him) if he does his apomorphine) or fantasy homework. (when it is called covert * (Participant) Modeling sensitization) - Patient learns new behaviour - Negative reinforcement(2 primarily by observation, without having to perform until they feel ready (followed by imitation) thereby suppres behaviour - Used for drug (eg alcohol) abuse, sexual deviations (transverstism, egodystonic homosexuality), - It is based on concept that just paraphilias, impulsive or at irrational fears are aquired by compulsive behaviours learning, they can be unlearned - Is controversial as it can be by observing a fearless model sometimes be positively confront the feared object. Eg reinforcing and may cause phobic children placed with ethical problems normal children of same age - If a child is scolded (or beaten) approaching feared object or for failing to look after their situation younger sibling while - Therapist accompanying adult studying by a parent who does patient into feared situation eg not value homework then the agoraphobia, describing it in child has been punished and calm manner or acting out the will be less likely to do the process of mestering the feared homework another night. activityQ * Satiation - Behavior rehersal is acting out The undesired response is real life problems under positively reinforced so that therapists observation or tiring occurs. (Negative direction practice procedure) Biofeed back Therapy Biofeeback (of Neal miller) involves recording and displaying of small changes in physiological parameter by use of instruments eg pulse rate, blood pressure, electrical potentials of muscle fibers (EMG), brain waves (EEG), heart rhythm (ECG), skin conductivity (GSR = galvanic skin response gauge or relaxomoter) which is decreased during relaxed state, skin temperature (measured by thermistor, decreased during tension d/t peripheral vasoconstriction) It is based on concept that the autonomic nervous system can be volutary controlled through operant conditioning. Patient is attached to instrument that measures physiological function & translate measurement into audible or visual signal that is used by patient gauge their response. It is used in Patient then learn to regulate biological states that affect symptoms usually in an indirect way such as relaxing. Eg a person leans to raise the temperature of hands to reduce frequency of migraines, palpitations, or angina pectoralis. Less common uses are insomnia, dysmenorrhea, speech problems, volitional disorder, improving athelitic performance, managing stress, achieving altered state of consciousness, suppleminting psychotherapy for anxiety a/w somatoform disorder (use frontalis muscle EMG & thermal bio feedback)- (Kaplan-950). However oxford-593 iniludes it in behaviour technique no longer